A girl feels very depressed as her father died one month back. She feels moody and won't join with others and she thinks about joining her father. The most likely diagnosis is:
1. Post traumatic stress disorder
2. Grief
3. Depression
4. Bipolar disorder

Correct answer: 2. Grief

Explanation: Feeling depressed, mood changes and longing after death of a loved one are all suggestive of grief. Normal grief - up to 6 months Complicated grief -Prolonged grief with intense emotions